earliest symptom of cervical cancer is :
1. Dyspareunia
2. Bleeding PV
3. Pain
4. Leukorrhoea

Correct answer: 2. Bleeding PV

Explanation: Bleeding PV